Most afferent fibers from the lateral nucleus terminate in the primary visual cortex is
1. Layer 1
2. Layer 2 & 3
3. Layer 4
4. Layer 5 & 6

Correct answer: 3. Layer 4

Explanation: Like almost all other portions of the visual cortex, the primary visual cortex has six distinct layers. Also, as is true for the other sensory systems, the geniculocalcarine fibres terminate mainly in layer 4. REF: TEXTBOOK OF MEDICAL PHYSIOLOGY GUYTON AND HALL, 12e Page no 755